The difference between malingering and hysteria is
1. Hypnosis
2. Malingering has poor prognosis
3. Hysteria is more common in females
4. Consciousmotive in malingering

Correct answer: 4. Consciousmotive in malingering

Explanation: D i.e. Conscious motive in malingeringThe most important difference between hysteria & malingering is that- In Malingering patient intentionally produces symptoms (conscious motive)Q.In Hysteria (conversion disorder), patient does not intentionally produces symptomsQ.